A benign tumor fibroma is commonest over:
1. Labia majora
2. Labia minora
3. Clitoris
4. Rudimentary hymen

Correct answer: 1. Labia majora

Explanation: This rare benign tumor of the vulva arises from deep connective tissues by fibroblast proliferation. Lesions are primarily found on the labia majora and range from 0.6 to 8 cm in diameter. Larger lesions often become pedunculated with a long stalk and may cause pain or dyspareunia. Surgical excision is indicated for symptomatic lesions or if the diagnosis is unclear. Ref: Hoffman B.L., Schorge J.O., Schaffer J.I., Halvorson L.M., Bradshaw K.D., Cunningham F.G., Calver L.E. (2012). Chapter 4. Benign Disorders of the Lower Reproductive Tract. In B.L. Hoffman, J.O. Schorge, J.I. Schaffer, L.M. Halvorson, K.D. Bradshaw, F.G. Cunningham, L.E. Calver (Eds), Williams Gynecology, 2e.